Early gastric cancer generally indicates -
1. Gastric adencarcinoma detected early
2. Gastric adenocarcinoma confined to the mucosa
3. Gastric adenocarcinoma confined to the mucosa & submucosa
4. Gastric adenocarcinoma less than 1 cm. In size

Correct answer: 3. Gastric adenocarcinoma confined to the mucosa & submucosa